All drugs are used in treatment of breast carcinoma except :
1. Tamoxifen
2. Flutamide
3. Cyclophosphamide
4. Letrozole

Correct answer: 2. Flutamide